Reduction of diametervat the muzzle end of a barrel of shotgun is called
1. Rifling
2. Choking
3. Yawing
4. Tembling

Correct answer: 2. Choking

Explanation: Choking Reduction of diameter at the muzzle end of the barrel of a shotgun is called choking Choking reduces the dispersion of pellets and holds the pellets together for a longer distance Choke- bore means diameter of the barrel is reduced at the muzzle end. Ref: FORENSIC MEDICINE AND TOXICOLOGY Dr PC IGNATIUS THIRD EDITION PAGE 137